Dunning index?
1. Gingival bone count
2. Shick & ash
3. OHI
4. PDI

Correct answer: 1. Gingival bone count